Newborn loses how much weight in the first week?
1. 1-2%
2. 5-10%
3. 10-15%
4. 15-20%

Correct answer: 2. 5-10%

Explanation: It is expected that newborns will lose some weight in the first 5-7 days of life. A 7-10% loss is considered normal for breastfed babies.A 5% weight loss is considered normal for a formula-fed newborn. Most neonates should regain this lost weight by days 10-14 of life.(Refer: Nelson's Textbook of Pediatrics, SAE, 1st edition, pg no. 789 -791)